If the ejection fraction increases, there will be a decrease in
1. Cardiac output
2. End-systolic volume
3. Heart rate
4. Pulse pressure

Correct answer: 2. End-systolic volume

Explanation: An increase in ejection fraction means that a higher fraction of the end-diastolic volume is ejected in the stroke volume (e.g., because of the administration of a positive inotropic agent). When this situation occurs, the volume remaining in the ventricle after systole, the end-systolic volume, will be reduced. Cardiac output, pulse pressure, stroke volume, and systolic pressure will be increased.